Pringle maneuvar to arrest hehemorrhage is
1. Clamping of portal vein
2. Clamping of hepatic artery
3. Clamping of hepatic vein
4. Clamping of hepatoduodenal ligament

Correct answer: 4. Clamping of hepatoduodenal ligament

Explanation: Pringle manoeuvre is used to control hemorrhage by clamping the hepatoduodenal ligament and compressing the portal triad,thereby reducing arterial and venous inflow into the liver.But it doesn't control the backflow from inferior vena cava and hepatic veins. Reference: Bailey & Love's short practise of surgery,25 th edition,page no348.